Die is
1. Impression of single tooth
2. Impression of whole teeth
3. Replica of single tooth
4. Replica of whole teeth

Correct answer: 3. Replica of single tooth